B12 deficiency causes -
1. Demyelination
2. Dermatitis
3. Burning foot syndrome
4. Beriberi

Correct answer: 1. Demyelination

Explanation: Ans. is 'a' i.e., Demyelination* B12 in the form of Adenosyl B12 acts as a coenzyme for Methyl malonyl Co A mutase. Methyl Malonyl Co A mutase helps in the conversion of methyl malonyl Co A to Succinyl Co A. Hence, in B12 deficiency, methyl malonyl CoA accumulates. Methyl Malonyl CoA gets incorporated into fatty acids (instead of malonyl CoA). This results in abnormal fatty acids getting synthesized. When these fatty acids get incorporated in myelin, it results in rapid demyelination